Alpha granules of platelets contain all Except
1. Fibronectin
2. Platelet factor-4
3. Platelet-derived growth factor
4. Serotonin

Correct answer: 4. Serotonin

Explanation: Alpha granules contain P.Selectin, Fibrinogen, Coagulation factor V, VWF, Fibronectin, Platelet factor 4, PDGF, TGF bDelta granules contains ADP, ATP, ionized Ca, Serotonin, EpinephrineReference: Robbins and Cotran Pathologic Basis of Disease; 9th edition; Volume I; Page no: 117